Which one of the following is NOT used in glaucoma –
1. Timolol
2. Physostigmine
3. Donepezil
4. Dipivefrine

Correct answer: 3. Donepezil

Explanation: Pharmacological agents used for POAG
A) Topical drugs

β-blockers :- Timolol, betaxolol, levobunolol, carteolol.
Prostaglandin analogues :- Latanoprost, bimatoprost, travoprost.
Alpha agonists :- Non-selective (epipherine, dipivefrine); selective a2 (Apraclonidine, Brimonidine).
Carbonic anhydrase inhibitors :- Dorzolamide, brinzolamide.
Cholinomimetic agents :- Pilocarpine, physostigmine, echothiophate, carbachol.

B) Systemic drugs

Carbonic anhydrase inhibitors :- Acetazolamide, dichlorphenamide, methazolamide.
Hyperosmotic agents :- Mannitol, glycerol.